Mannose 6 phosphate containing freshly synthesized proteins are directed to
1. Nucleus
2. Lysosomes
3. Mitochondria
4. Golgi apparatus

Correct answer: 2. Lysosomes